Maximum chances of ureteric injury are with
1. TAH
2. Wertheims hysteroctomy
3. Anterior colporrhaphy
4. Vaginal hsterectomy

Correct answer: 2. Wertheims hysteroctomy

Explanation: Wertheim's hysterectomy:includes Radical abdominal hysterectomy Bilateral extra peritoneal dissection Excision of iliac and pelvic lymph nodes for cancer of the cervix Ureter injury is the major complication Ref : Shaw Gynecology 17e pg 526.